Non sedating Antidepressant is
1. Fluoxetine
2. Mianserine
3. Amoxaprine
4. Imipramine

Correct answer: 1. Fluoxetine

Explanation: A i.e. Fluoxetine